Waddling gait is seen in
1. Muscular dystrophy
2. Traumatic Paraphegia
3. Parkinsonism
4. Cerebellar infarct

Correct answer: 1. Muscular dystrophy

Explanation: *In muscular dystrophies the gait of an individual disclose a lordotic posture caused by combined trunk and hip weakness,frequently exaggerated by toe walking. A waddling gait is caused by the inability of weak hip muscles to prevent hip drop or hip dip . Muscular dystrophy A waddling gait is a symptom of several types of MD, including: Duchenne MD. This disorder occurs almost exclusively in boys and affects the arms, legs, and pelvis. One of the first signs is having difficulty crawling or getting up from the floor Ref Harrison20th edition pg 2456